Cystic artery is usually derived from:
1. Right hepatic artery
2. Left hepatic artery
3. Left gastric artery
4. None of the above

Correct answer: 1. Right hepatic artery

Explanation: The cystic artery usually arises from the right hepatic artery. It usually passes posterior to the common hepatic duct and anterior to the cystic duct to reach the superior aspect of the neck of the gallbladder. It divides into superficial and deep branches. Ref: Gray's anatomy 40th edition, Chapter 86.